Progesterone release rate in progestasert is:-
1. 25 ug/day
2. 40ug/day
3. 65ug/day
4. 80ug/day

Correct answer: 3. 65ug/day

Explanation: Progestasert: T-shaped device carrying 38 mg of progesterone in silicon oil reservoir in the vertical stem. Releases 65 mcg of the hormone per day. Hormone released in the uterus forms a thick plug of mucus at the cervical os which prevents penetration by the sperms and thus exerts an added contraceptive effect. Menstrual problems like menorrhagia and dysmenorrhoea noticed with Copper T are less with this device (40% reduction) Expensive and requires yearly replacement.